An oblique of olecranon. If displaced proximally. The treatment is
1. Excision & resuturing
2. Tension band wiring
3. Elbow is imbolised by cast
4. Open reduction & external fixation

Correct answer: 2. Tension band wiring

Explanation: B i.e. Tension band wiring